Law under oath is not necessary in -
1. Wound certificate
2. Medical certificate
3. Postmortem certificate
4. Expert opinion expressed in a treatise

Correct answer: 4. Expert opinion expressed in a treatise

Explanation: Law under oath is not necessary in expert opinion expressed in a treatise Ref:synopsis of forensic medicine (Dr.K.S.Narayan Reddy), pg no:9,28th edition.